NOT a type of skull fracture:
1. Linear
2. Depressed
3. Diffuse axonal
4. Basal

Correct answer: 3. Diffuse axonal

Explanation: Ans. Diffuse axonal